Degloving injury is -
1. Surgeon made wound
2. Lacerated wound
3. Blunt injury
4. Avulsion injury

Correct answer: 4. Avulsion injury

Explanation: • Degloving occurs when the skin and subcutaneous fat are stripped by avulsion from its underlying fascia, leaving neurovascular structures, tendon or bone exposed.